'Arthus reaction' is best explained by which of the following immune reaction?
1. Localized immune complex
2. Ag-Ab reaction
3. Compliment mediated
4. Ab mediated

Correct answer: 1. Localized immune complex

Explanation: Arthus reaction involves the formation of antigen/antibody complexes in the body after the intradermal injection of an antigen. It is a type III or immune complex mediated hypersensitivity reaction. Type III hypersensitivity involves antigen-antibody complexes which may precipitate around blood vessels and cell membranes causing damage.Ref: Pathologic Basis Of Disease, Robbins, 6th Edition, Page 201; Chandrasoma Taylor 3rd Edition, Page 112; Textbook of Microbiology, Ananthanarayan and Paniker, 7th Edition, Chapter 18, Page 165.